Which of the treatment modalities is associated with the lowest recurrence of peptic ulcer?
1. Gastric resection
2. Vagotomy + drainage
3. Vagotomy + Antrectomy
4. Highly selective vagotomy

Correct answer: 3. Vagotomy + Antrectomy

Explanation: Vagotomy and antrectomy is the surgical treatment of peptic ulcer associated with extremely low ulcer recurrence rate. It is also indicated in many patients with complicated peptic ulcer disease such as bleeding duodenal and gastric ulcer, obstructing peptic ulcer, non-healing gastric ulcer, and recurrent ulcer. Ref: Schwartz's Principles of Surgery, 9th Edition, Chapter 26 ; Essentials of Family Medicine By Philip D. Sloane, 5th Edition, Page 360